Apple core sign in barium enema is seen with?
1. Ileocecal tuberculosis
2. Carcinoma esophagus
3. Colon carcinoma
4. Achalasia cardia

Correct answer: 3. Colon carcinoma

Explanation: ANSWERS: (C) Colon carcinomaREF: Suttons Radiology 7th edition volume 1 page 625, Fundamentals of diagnostic radiology William E. Brant, Clyde A. Helms - Page 851, style="font-size: 1.04761904761905em; font-family: Times New Roman, Times, serif; margin: 0 0 8pt 8px; text-indent: 0; text-align: left">Apple core sign:The apple core sign, also known as a napkin ring sign, is most frequently associated with constriction of the lumen of the colon by a stenosing annular colorectal carcinoma. The same term has also been used for the circumferential erosion of the femoral neck seen in synovial o steochondromato sis